In immediate denture, why is clear acrylic stent or surgical template given soon after extraction?
1. For trimming jagged bone margins
2. For impression takling
3. Condition tissues
4. Contain socket healing substances

Correct answer: 1. For trimming jagged bone margins

Explanation: A surgical template:

Thin & transparent
Duplicate the tissue surface of immediate denture
Acts as a guide for surgically shaping or bone trimming of jagged margins of the alveolar process